Fanconi bijlkel syndrome is associated with:
1. GLUT 1
2. GLUT 2
3. GLUT 3
4. GLUT 4

Correct answer: 2. GLUT 2

Explanation: GLUT 2 is a protein channel for facilitated transport of glucose It is seen in beta2 cells of pancreas They are usedto detect glucose level in blood and secrete insulin